Lecture Method of teaching is a type of
1. Socratic Method
2. Non-verbal communication
3. Didactic Method
4. Visual Communication

Correct answer: 3. Didactic Method

Explanation: Flow of communication is one way
– from communicator to audience
– Disadvantages of one way communication:
- Knowledge is imposed and learning authoritative
- Little audience participation and no feedback
- Does not influence human behaviour
- Makes no attempt at removing misconceptions and misunderstandings
- Communicates message even if unintelligible or unacceptable - Autocratic process